Which of the following monoclonal antibodies is a humanized antibody?
1. Rituximab
2. Palivizumab
3. Infliximab
4. Basiliximab

Correct answer: 2. Palivizumab

Explanation: Nomenclature of monoclonal antibodies: * Their name ends with mab. * Before mab the two letters tell the source: - XI means Chimeric - ZU means humanized - U means completely human